Yuzpe and Lance regimen for 'post -- coital' contraception :
1. 100 mg of ethinyl oestradiol and 0.5 mg of levonoregestel initially followed by the same dose after 12 hours
2. Same as above but followed by same dose after 24 hours
3. Use of 150 mg of DMPA every 3 months
4. 200 mg NET -- EN every 60 days

Correct answer: 1. 100 mg of ethinyl oestradiol and 0.5 mg of levonoregestel initially followed by the same dose after 12 hours

Explanation: 100 mg of ethinyl oestradiol and 0.5 mg of levonoregestel initially followed by the same dose after 12 hours